In Kwashiorkor, the letter 'K' is post–fixed to denote –
1. Weight for height
2. Skin changes
3. Edema
4. Muscle wasting

Correct answer: 3. Edema